Criteria for defining polio epidemic are all except:
1. 2 or more cases
2. Cases should occur in the same locality
3. Caused by the same virus type
4. Cases occurring during the 6 month period

Correct answer: 4. Cases occurring during the 6 month period

Explanation: Ans: dRef: Park, 17th ed, p. 157 & 18th ed, p. 166